What is the chromosomal aberration seen when there is transverse division in centromere:
1. Ring chromosome
2. Isochromosome
3. Translocation
4. Inversion

Correct answer: 2. Isochromosome